Cloudy cornea is/are seen in which of the following
1. Klinefelter syndrome
2. Turner syndrome
3. Megalocornea
4. Mucopolysaccharidosis

Correct answer: 4. Mucopolysaccharidosis

Explanation: Ans. (d) MucopolysaccharidosisRef: Parson's 22/e, p. 221Causes of neonatal corneal opacification -- MCG - SRT* Mucopolysaccharidosis* Congenital hereditary endothelial dystrophy - type - I* Glaucoma (congenital)* Sclerocornea* Rubella* Ttrauma (Birth trauma)"Mucopolysaccharidoses (MPS) can manifest with corneal clouding, including Hurler; Scheie, and Hurler - Scheie syndromes (all MPS I); Morquio syndrome (MPS IV); and Maroteaux -Lamy syndrome (MPS VI).Corneal clouding is not present in Hunter syndrome (MPS II) and Sanfilippo syndrome (MPS III)' (emedicine. medscape.com)